Which is not true of malaria Eradication programmea) Started in 1953b) Modified plan started in 1970c) Incidence was 2 million cases in 1958d) Incidence decreased to 50,000 in 1961
1. ab
2. a
3. ad
4. bc

Correct answer: 1. ab

Explanation: National anti-malaria Programme 

The Programme began initially as National Malaria control Programme in 1953.
Because of the spectacular success achieved in the control of malaria, the control programme, was converted into an eradication programe in 1958 with the object of eradicating malaria once and for all from the country.
The programme went on well for sometimes.
The incidence of malaria declined from 75 million cases and 8 lakhs death in 1953 to about 1-2 million cases and no death in 1972.
But thereafter the programme suffered serious set backs.
There was a sharp increase in malaria incidence, in 1976, there were 6.47 million cases with 59 deaths.
The Govt of India in 1977 evolved a "Modified plan of operation" based on "effective control" rather than eradication.
The plan has since been implemented and the incidence of malaria began to decline.
However, there was gradual, increased in falciparum malaria incidence.
Hence a programme for containment of P.falciparum was also launched within the NMEP.

Note : Option 'c & d' were given in 19th/e. of Park : -
"The incidence of malaria had declined sharply from 75 million cases in 1953 to 2 million cases in 1958".
"The annual incidence of malaria cases in India escalated from 50000 in 1961, to a Peak of 6.4 million cases in 1976".
Strategic Action plan for malaria control in India (2007-2012)


Malaria control is now incorporated into the health service delivery programmes under the umbrella of NRHM.
The strategies of National malaria control programme are as follows : -

Malaria Control strategies
The strategies for prevention and control of malaria and its transmission are-:
1. Surveillance and case management

Case detection (passive and active).
Early diagnosis and complete treatment.
Sentinel surveillance.

2. Integrated vector management (IVM)

Indoor residual spray (IRS).
Insecticide treated bed nets (ITNs)/ Long Lasting Insecticidal Nets (LLINs).
Antilarval measures including source reduction.

3. Epidemic preparadness and early response
4. Supportive interventions

Capacity building
 Behaviour change communication (BCC)
Intersectoral collaboration
Monitoring and evaluation
Operational research and applied field research.

Goals for strategic Plan 2007-2012
The main national goals for malaria control are given below : -

At least 50 percent reduction in mortality due to malaria by the year 2010, as per National Health Policy document 2002.
At least 80 percent of those suffering from malaria get correct, affordable and appropriate treatment within 24 hours of reporting to the health system, by the year 2012.
At least 80 percent of those at high risk of malaria get protected by effective preventive measures such as ITNs/LLINs or IRS by 2012.